Which of the following is a RNA virus?
1. Measles virus
2. Herpes virus
3. Papaya virus
4. Adeno virus

Correct answer: 1. Measles virus